Caridex remains stable for how much time after mixing its constituents ?
1. 20 minutes
2. 30 minutes
3. 60 minutes
4. 120 minutes

Correct answer: 3. 60 minutes

Explanation: Chemical softening of carious dentin gentle excavation (Caridex and Carisolv)